The temporary feeling of dry mouth after tooth brushing with tooth paste is due to the presence of:
1. Sodium lauryl sulfate
2. Glycol
3. Sweetener
4. Friction due to brushing

Correct answer: 1. Sodium lauryl sulfate